Superior Gluteal Nerve supplies all of the following muscles, except
1. Gluteus Minimus
2. Gluteus Maximus
3. Tensor fascia lata
4. Gluteus Medius

Correct answer: 2. Gluteus Maximus

Explanation: SUPERIOR GLUTEAL NERVE Root value: L4,L5,S1 Course:enters the gluteal region through greater sciatic notch above pyriformis muscle.Runs between gluteus medius and gluteus minimus to end in tensor fascia lata. Branches :-it supplies 1. Gluteus medius 2. Gluteus minimus3. Tensor fascia lata {Reference: BDC 6E pg no. 173}